Diagnosis of thoracic outlet syndrome is made by which one of the following?
1. Clinical Evaluation
2. CT scan
3. MRI
4. Angiography

Correct answer: 1. Clinical Evaluation

Explanation: Thoracic outlet syndrome is diagnosed by history and physical examination. Diagnosis is confirmed by the reproduction of symptoms by tests such as Adson or scalene test, costoclavicular test, hyperabduction test or arm claudication (Roos) test. In thoracic outlet syndrome, Adsons test (i.e extension and turning the neck towards a side) results in change in radial pulse or occurrence of symptoms of nerve compression. In costoclavicular test, by drawing the shoulders down and backward symptoms appear. In hyperabduction test, arms are hyperextended to 180 degrees and symptoms are generated. In Roos test, symptoms are generated by drawing shoulders upward and backward, with arm raised to horizontal position with the elbow flexed at 90 degree. Ref: Current Medical Diagnosis and Treatment, 2012, Chapter 20; General Thoracic Surgery By Thomas W. Shields, Volume 1, Page 691